Transdermal patch is not used for following drug?
1. GTN
2. Fentanyl
3. Nicotine
4. Naloxone

Correct answer: 4. Naloxone

Explanation: Ans. is `d' i.e., Naloxone